Careless handling of a suspected case of cervical spine injury may result in:
1. Injury to the spinal cord leading to quadriparesis or quadriplegia
2. Intracranial haemorrhage with cerebral imtation or unconsciousness
3. Cervical haematoma with compression of brachial vessels
4. Complete paralysis of the affected upper extremity

Correct answer: 1. Injury to the spinal cord leading to quadriparesis or quadriplegia

Explanation: A i.e. Injury to the spinal cord leading to quadriparesis or quadriplegia